Which of the following is not true about Diplococcus pneumoniae
1. Bile solubility
2. Optochin resistance
3. Causes Meningitis
4. Possess Capsule

Correct answer: 2. Optochin resistance

Explanation: Streptococcus pneumoniae is optochin sensitive. Optochin sensitivity: the sensitivity of Streptococcus pneumoniae to optochin is useful in differentiating it from other streptococci. When a disc impregnated with optochin is applied on a plate of blood agar inoculated with Streptococcus pneumoniae, a wide zone of inhibition appears on incubation. Reference: Textbook of Microbiology; Anathanarayan and panicker's; 10th edition; Page no: 225